Leeway space of Nance is utilized in
1. Early mesial shift of first permanent molars
2. Incisal liability
3. Late mesial shift of first permanent molars
4. Secondary spacing of first permanent molars

Correct answer: 3. Late mesial shift of first permanent molars